The disease that is not an occupational hazard for a dental surgeon:
1. AIDS
2. Enteric fever
3. Hepatitis B
4. Herpes

Correct answer: 2. Enteric fever